Commonest cause of obstructive hydrocephalus in children -
1. Acqueductal stenosis
2. Aqueductal gliosis
3. Subarachnoid hemorrhage
4. Tubercular meningitis

Correct answer: 1. Acqueductal stenosis

Explanation: Ans. is 'a' i.e., Acqueductal stenosis